Perineal body muscles include all of the following except?
1. External anal sphincter
2. Levator ani
3. Deep transverse perenei
4. Iliacus

Correct answer: 4. Iliacus

Explanation: Ans. is 'd' i.e., IliacusTen muscles of perineum converge and interlace in the perineal body -A) Two unpaired - (i) External anal sphincter, (ii) Fibres of longitudinal muscle coat of anal canal.B) Four paired:- (i) Bulbospongiosus, (ii) Superficial transverse perenei, (iii) Deep transversus perenei, (iv) Levator ani.In females, sphincter urethrovaginalis is also attached here.